“Field carcinogenesis” is seen in
1. Breast carcinoma
2. Colon carcinoma
3. Brain tumour
4. Head and neck carcinoma

Correct answer: 4. Head and neck carcinoma